Which of the following is the most common type of shock?
1. Hypovolemic
2. Cardiogenic
3. Obstructive
4. Distributive

Correct answer: 1. Hypovolemic

Explanation: Hypovolemia is probably the most common form of shock and to some degree, a component of all other forms of shock. Absolute or relative hypovolemia must be excluded or treated in the management of the shocked state, regardless of cause.